Which method is used for HIV pretest counselling
1. Mass media
2. Group approach
3. Individual approach
4. All of the above

Correct answer: 3. Individual approach